Wilson disease is caused by defect in
1. ATP 7A mutation
2. ATP 6A mutation
3. ATP 6B mutation
4. ATP 7B mutation

Correct answer: 4. ATP 7B mutation

Explanation: ATP 7B gene on chromosome 13 is mutated in Wilson disease.